ORF stands for
1. Open reading frame
2. Oncocytic removing fraction
3. Oncogenic removing frequency
4. Oil fraction in blood

Correct answer: 1. Open reading frame